Intravenous potassium chloride should be given?
1. Bolus in peripheral line
2. Diluted in saline
3. Diluted in 5% Dextrose
4. Bolus in central line

Correct answer: 2. Diluted in saline

Explanation: * IV KCl - Never given as bolus as it can cause Diastolic arrest. * Always given diluted and advised to give diluted in saline.